Which of the following drugs can be used for the treatment of chloroquine resistant malaria in children ?
1. Chloroquine
2. Doxycycline
3. Tetracycline
4. Clindamycin

Correct answer: 4. Clindamycin